The muscle which opens the mouth is?
1. Medial pterygoid
2. Masseter
3. Lateral pterygoid
4. Temporalis

Correct answer: 3. Lateral pterygoid

Explanation: Ans. C. Lateral pterygoidThere are four classical muscles of mastication.The muscles are:a. The masseterb. The temporalisc. The medial pterygoidd. The lateral pterygoidThe mandible is connected to the temporal bone of the skull via the temporomandibular joint. This is an extremely complex joint which permits movement in all planes. The muscles of mastication originate on the skull and insert into the mandible, thereby allowing for jaw movements during contraction.Movements produced-a. Depression of mandible - by lateral pterygoidb. Elevation of mandible - by temporalis, pterygoid masseterc. Retraction of mandible - by temporalisd. Protraction of mandible - by lateral pterygoid & medial pterygoid